Endochondral ossification is seen in:
1. Long bones
2. Flat bones of skull
3. Clavicle
4. Mandible

Correct answer: 1. Long bones

Explanation: Nasal bones are formed by intramembranous ossification. In long bones of the limbs the mesenchyme condenses and form hyaline cartilage models and ossification centers appear and the bone ossifies slowly which is called endochondral ossification.Ref: Langman's Embryology